Gartner's cyst arises from?
1. Remnant of paramesonephric duct
2. Remnant of mesonephric duct
3. Cervix
4. Vagina

Correct answer: 2. Remnant of mesonephric duct

Explanation: ANSWER: (B) Remnant of mesonephric ductREF: Gray's anatomy 39TH edition p. 1384See APPENDIX-5 for "ADULT DERIVATIVES AND VESTIGIAL REMAINS OF EMBRYONIC UROGENITAL STRUCTURES""Gartner's duct cysts represent mesonephric remnants and are found on the anterolateral vaginal wall from the cervix to the introitus"APPENDIX - 5Adult Derivatives and Vestigial Remains of Embryonic Urogenital StructuresEmbryonic StructureMaleFemaleGonadal RidgeCortexMedullaTestisSeminiferous tubules Rete testisOvaryOvarian folliclesMedullaRete ovariiGubernaculumGubernaculum testisOvarian ligamentRound ligament of uterusMesonephric tubulesDuctus efferentesParadidymisEpoophoronParoophoronMesonephric ductAppendix of epididymisDuctus epididymidisDuctus deferensUreter, pelvis, calices, and collecting tubulesEjaculatory duct and seminal vesicleAppendix vesiculosa Duct of epoophoron Duct of GartnerUreter, pelvis, calices, and collecting tubulesParamesonephric duct (Mullerian duct)Appendix of testisHydatid (of Morgagni)Uterine tubeUterusUpper VaginaUrogenital sinusUrinary bladderUrethra (except glandular portion)Prostatic utricleProstate glandBulboureth rod glandsUrinary bladder UrethraLower Vagina (from sinovaginal bulb)Urethral and paraurethral glandsGreater vestibular glandsVestibule of vaginaMullerian tubercleSeminal colliculusHymenGenital tuberclePenisGians penisCorpora cavernosa penisCorpus spongiosumClitorisGians clitoridisCorpora cavernosa clitoridisBulb of the vestibuleUrogenital foldsVentral aspect of penisLabia minoraLabioscrotal swellingsScrotumLabia majora